In which of the following phase, DNA doubling occurs ?
1. G1 phase
2. S phase
3. G2 phase
4. M phase

Correct answer: 2. S phase

Explanation: Ans: b (S phase) Ref: Harper, 23th ed, p. 428DNA replication occurs only at a specified time during the life span of a cell. This period is referred to as synthetic or S phase.Few points about: DNA POLYMERASEProkaryotic DNA polymerase:DNAP -I: Removal of RNA primers and replacing with DNA (5'-3' exonuclease).DNAP - II: DNA proof reading and repair.DNAP- HI: Synthesis of leading and lagging strand.Eukaryotic DNA polymerase:DNAP d: Synthesis of leading strand.DNAP d: Synthesis of lagging strand.DNAP g- Replicates mitochondrial DNA.DNAP band e: Primarily DNA repair.